A melanocytic naevus surrounded by a depigmented halo is called:
1. Sutton's nevus
2. Meyerson's naevus
3. Cockade naevus
4. Nevus anaemicus

Correct answer: 1. Sutton's nevus

Explanation: Sutton's nevus/halo's nevus : a halo of depigmentation appears around a preexisting melanocytic naevus. Meyerson's naevus is used to describe a melanocytic naevus that has developed an associated inflammatory reaction, which looks like eczema. Ref: Rook's textbook of dermatology, 8th edition Pg 54.20.